Ferning ol cervical mucu3 depends on :
1. Eslrogen
2. Progesterone
3. LH
4. FSH

Correct answer: 1. Eslrogen

Explanation: Eslrogen